All of the following are true about Methicillin resistance in MRSA, except
1. Resistance is produced as a result of altered PBP's
2. Resistance may be produced by hyperproduction of beta lactamase
3. Resistance is primarily mediated/transmitted plasmids
4. Resistance may be missed at incubation temperature of 37 oC during susceotibility testing

Correct answer: 3. Resistance is primarily mediated/transmitted plasmids

Explanation: Penicillin resistance is of three types: Production of beta-lactamase Alteration in the penicillin-binding protein PBP2a and changes in bacterial surface receptors, reducing binding of beta-lactam antibiotics to cells.This resistance also extends to cover beta-lactamase-resistant penicillins such as methicillin and cloxacillins(MRSA). Some of the strains may show resistance to other antibiotics such as erythromycins, tetracyclines, aminoglycosides, and heavy metals and cause outbreaks of hospital infections. Development of tolerance to penicillin Ref: Textbook of Microbiology; Ananthanarayanan and Panicker; Tenth Edition; Page No: 202